All of the following are involved in sperm pathway, except ?
1. Efferent tubule
2. Afferent tubule
3. Rete testes
4. Epididymis

Correct answer: 2. Afferent tubule

Explanation: The correct sequence of sperm movement from within testis to urethra is Seminiferous tubule - Straight tubule (Tubulirecti) - Rete testes - Efferent tubule - Epididymis - Vas (ductus) deferens Ejaculatory duct - Prostatic urethra Testis consists of 200-300 lobules. Each lobules consists of 2-3 seminiferous tubules (where spermatozoa are formed). Seminiferous tubules join at the apex of lobules to form straight tubules, which anastomose with each other to form rete testis. Which emerge from upper pole and enter the epididymis. Each tubule becomes highly coiled to form a lobe of the head of epididymis. All tubules end in a single duct which is coiled on itself to form the body and tail of the epididymis. It is continuous with ductus deference.